Copper deposition in cornea leads to -
1. Keratoconus
2. Keratoglobus
3. KF ring
4. Siderosis

Correct answer: 3. KF ring

Explanation: Kayser- Fleischer ring. It is a golden brown ring which occurs due to deposition of copper under peripheral parts of the descemet's membrane of the cornea. Ref: Parson's 22 nd edition , page no.396